Polyglandular autoimmune syndrome I true are all except ?
1. Autosomal recessive
2. Mutations in gene APECED
3. Associated with chronic active hepatitis
4. Associated with celiac disease

Correct answer: 4. Associated with celiac disease

Explanation: Ans. is 'd' i.e., Associated with celiac disease